Which of the following antitubercular drug is preferred in severe liver disease ?
1. Streptomycin + Isoniazid
2. Streptomycin + Ethambutol
3. Isoniazid + Rifampicin
4. Rifampicin + Ethambutol

Correct answer: 2. Streptomycin + Ethambutol